Intramuscular injections are given in which part of deltoid muscle?
1. Can be given anywhere in Deltoid
2. Upper part
3. Middle part
4. Lower part

Correct answer: 3. Middle part

Explanation: Intramuscular injections are often given into the deltoid. They should be given in the middle of the muscle to avoid injury to the axillary nerve.Ref: Chaurasia; Volume 1; 6th edition; Page no: 68